A middle aged man presented with paraesthesia of hands and feet. Examination revealed presence of 'Mees' lines in the nails and raindrop pigmentation in the hands. The most likely diagnosis is:
1. Lead poisoning
2. Arsenic poisoning
3. Thallium poisoning
4. Mercury poisoning

Correct answer: 2. Arsenic poisoning

Explanation: Ans. Arsenic poisoning